International certificate for travelling is required for -
1. Pertussis
2. Yellow fever
3. Cholera
4. Plague

Correct answer: 2. Yellow fever

Explanation: - measures designed to restrict the spread of yellow fever are specified in the International Health Regulations of WHO. - all travelling exposed to risk of yellow fever or passing through endemic zones of yellow fever must posses a valid international certificate against yellow fever before they are allowed to enter yellow fever receptive areas. Reference : Park's textbook of preventive and social medicine, 23rd edition pg no:283